Courvoiser's law is related to
1. Jaundice
2. Ureteric calculi
3. Portal hypertension
4. The length of skin flap in skin grafting

Correct answer: 1. Jaundice

Explanation: Courvoiser's law In obstruction of the common bile duct due to Stone, distension of gall bladder seldom occurs, the organ usually is shriveled If there is no disease in the gall bladder and the obstruction is due to cancer of ampulla, pancreas or bile duct, then gall bladder will be distended Ref: Sabiston 20th edition Pgno : 1544